Ureter develops from
1. A) Mesonephric duct
2. B) Metanephric Mesoderm
3. C) Metanephric Vesicles
4. D) Pronephric vesicles

Correct answer: 1. A) Mesonephric duct

Explanation: Ureteric bud arises from the lower part of the mesonephric duct. ureter is derived from the part of the ureteric bud. Ureteric bud also give rise to Renal pelvis,major and minor calyces, Renal papilae and collecting tubules Ref:- Inderbirsingh, pg num:-241,243, 246